A permanent tooth with a local hypoplastic deformity in a crown is called
1. Turner's tooth
2. Taurodontism
3. Enameloma
4. Ghost teeth

Correct answer: 1. Turner's tooth